A patient 18 years of age with sebaceous cysts on the scalp and back of the neck, an osteroma on the right mandible; Radiographs reveal multiple impacted supernumerary teeth in both jaws. These findings suggest
1. Cleidocranial dysostosis
2. Ectodermat dysplasia
3. Gardner's syndrome
4. Osteogenesis imperfecta

Correct answer: 3. Gardner's syndrome